Read the following statements regarding Hangman's fracture 1) Fracture of either pedicles or lamina of C2 Cervical vertebra 2) Bilateral in nature
1. Both are true
2. Both are false
3. 1 is true, 2 is false
4. 2 is true, 1 is false

Correct answer: 1. Both are true

Explanation: JUDICIAL HANGING : The sudden stoppage of the moving body associated with the position of the knot causes the head to be jerked violently. This causes fracture-dislocation usually at the level of the second and third, or third and fourth cervical vertebrae. Bilateral fractures of either the pedicles or laminae of the arch of the second cervical vertebrae occur (hangman's fracture). Sometimes seen in third or fourth cervical vertebrae .